This form of epilepsy almost always starts in childhood.For the above patient with clinical symptoms and signs, select the most likely seizure type
1. simple partial seizure
2. complex partial seizures
3. tonic-clonic (grand mal) seizures
4. absence (petit mal) seizures

Correct answer: 4. absence (petit mal) seizures

Explanation: Absence seizures almost always begin in young children (age 6-14). They may first present as learning difficulties in school. The EEG is diagnostic, revealing brief 3-Hz spike and wave discharges occurring synchronously throughout all the leads.